All are used for management for hypernatremia except?
1. 5% dextrose in water
2. N/2 in 5% dextrose
3. Nil by mouth
4. Indomethacin

Correct answer: 3. Nil by mouth

Explanation: Hypernatremia is treated with free water intake by month or NG tube if patient is not obtunded. Dilute hypotonic fluids like 5% dextrose in water and N/2 in 5% water are given to decrease serum sodium at a rate of 0.3 mmol/Hr. Drug that stimulate vasopressin like chlorpropamide / indomethacin / carbamazepine and clofibrate will also increase water absorption from collecting duct and reduce serum sodium.